As compared with the early immunosuppressive drugs (azathioprine, steroids, anti-lymphocyte serum) some newer agents have the following specific advantages:
1. Cyclosporine, which interferes with lymphokine production, exhibits neither bone marrow nor renal toxicity
2. Monoclonal antibody (OKT3) is more available and has greater specificity and fewer side effects than anti-lymphocyte serum
3. Tacrolimus (FK506) has properties similar to those of cyclosporine but is especially valuable for rescue of grafts that are failing on cyclosporine therapy
4. None of the above

Correct answer: 3. Tacrolimus (FK506) has properties similar to those of cyclosporine but is especially valuable for rescue of grafts that are failing on cyclosporine therapy

Explanation: Cyclosporine interferes with the production of cytokines and lacks the bone marrow toxicity of azathioprine. Unfortunately, its chief toxicity is renal. Although OKT3 is more available, more uniform, and more specific than antilymphocyte serum, some of its side effects are even greater, such as fever, chills, nausea, vomiting, diarrhea, and pulmonary edema. Tacrolimus has been used most extensively for liver grafts. It has been found especially valuable in reversing rejection of failing grafts.